HTLV extyra gene is -
1. Gag
2. Pol
3. ENV
4. px

Correct answer: 4. px

Explanation: some retrovirus such as HTLV and HIV carry a fourth gene tex or tat after the env gene REF:ANANTHANARAYAN AND PANIKER'S TEXTBOOK OF MICROBIOLOGY 9TH EDITION PAGE NO:567